Early sign of tetanus is locked jaw due to early involvement of:
1. Masseter
2. Medial pterygoid
3. Temporalis
4. Lateral pterygoid

Correct answer: 1. Masseter

Explanation: Early sign– increased tone of masseter muscles called as trismus/lock jaw, followed by sequential involvement of nerves of head, trunk and extremities (Descending tetanus).